All of the following act on cell membrane receptors except:
1. Cortisol
2. Insulin
3. FSH
4. TSH

Correct answer: 1. Cortisol

Explanation: Ans. A. CortisolHormones that bind to Intracellular receptorsa. Estrogensb. Glucocorticoidsc. Progestinsd. Mineralocorticoidse. Androgensf. Calcitriol (1, 25 (OH)g. Thyroid hormones (T3 and T4)Hormonal steroids and thyroid hormones exert their main physiological effects by acting directly on the nucleus of their target cells to increase transcription of the selected messenger RNAs Proteins polypeptides, and most ligands in the extracellular fluid act in a different way they bind to receptors on the membranes of their target cells, and trigger changes in the concentration of substance inside the cell that produce the physiological effects. The extracellular ligands are called the first messengers while the intracellular mediators are called second messengers.